A 3-year-old child presents with swelling in scrotum since birth. Transillumination test is positive. All are true except?
1. Herniotomy
2. Bag of worms
3. Silk glove sign
4. None of the above

Correct answer: 2. Bag of worms

Explanation: Ans. (B) Bag of worms. image source;